True about Mycoplasma:
1. CO2 is important for growth
2. Does not cause hemolysis
3. May be commensal in throat
4. Acid fast bacillus

Correct answer: 3. May be commensal in throat

Explanation: Ans. is 'c' i.e., May be commensal in throat(Ref: Ananthanarayan, 8th/e, 589, 7th/e, p. 600 and 9th/e, p. 386; Harrison, 19th/e, p. 1163)